The period from acquiring inrfection to maximum infectivity is called as-
1. Generation time
2. Serial time
3. Incubation period
4. Secondary interval

Correct answer: 1. Generation time

Explanation: In general, generation time is roughly equal to incubation period. But these 2 terms are not the same. The time of maximum communicability may precede or follow the incubation period. Ref: 25th edition, Park's Textbook of Preventive and Social Medicine, Page no. 108